Rash is absent in
1. Q-fever
2. Endemic typhus
3. Scrub typhus
4. Epidemic types

Correct answer: 1. Q-fever